Pressure diuresis lowers arterial pressure because it:
1. Lowers renal release of renin
2. Lowers systemic vascular resistance
3. Lowers blood volume
4. Causes renal vasodilation

Correct answer: 3. Lowers blood volume

Explanation: Ans. C. Lowers blood volumePressure diuresis lowers arterial pressure by lowering blood volume and, thereby, lowering cardiac output. All of the other choices do lower arterial pressure, but are not caused by pressure diuresis.